Transfer of solutes between cells is
1. Desmosomes
2. Gap Junctions
3. Fascia adherens
4. Zonula occludens

Correct answer: 2. Gap Junctions

Explanation: Gap junction permits the direct transfer of ions and other small molecules upto MW 1000, between the cells without traversing the extracellular spaces.(Ref: Textbook of physiology AK Jain 5th edition page no.9)